Babloo a 4-year male presents with a history of seizures. On examination, there are hypopigmented patches on face & intellectual disability. Most probable diagnosis is -
1. Neurofibromatosis
2. Tuberous sclerosis
3. Sturge weber syndrome
4. Incontinentia pigmenti

Correct answer: 2. Tuberous sclerosis

Explanation: Ans-BTuberous sclerosisSeizures, intellectual disability and hypopigmented patches on the face (Ash - leaf spot) suggest the diagnosis of tuberous sclerosis.